One millimeter increase in the radius of curvature of cornea leads to hypermetropia of:
1. 3 dioptres
2. 4 dioptres
3. 5 dioptres
4. 6 dioptres

Correct answer: 4. 6 dioptres

Explanation: Ans. 6 dioptres